Radius of action of toxins in the bacterial plaque is
1. Less than 2.5 mm
2. Greater than 3.5 mm
3. Less than 1.5 mm
4. 1.5 - 2.5 mm

Correct answer: 4. 1.5 - 2.5 mm